Pentostatin acts by inhibiting -
1. RNA dependent DNA polymerase enzyme
2. Aldolase enzyme
3. Adenosine deaminase enzyme
4. Adenyl cyclase enzyme

Correct answer: 3. Adenosine deaminase enzyme

Explanation: Ans. is 'c' i.e., Adenosine deaminase enzyme o Pentostatin inhibit adenosine deaminase (ADA)